One of the following symptoms is NOT caused by inorganic lead poising:
1. Anemia
2. Insomnia
3. Pallor
4. Burtonian line

Correct answer: 2. Insomnia

Explanation: Ans. (b) InsomniaRef: K. Park 23rd ed. / 807-808* Insomnia is caused by organic lead poisoning.* Organic lead poisoning causes CNS side effects while Inorganic lead poisoning causes non-CNS side effects.Due to Organic Lead (CNS effects)Due to Inorganic Lead (Non-CNS effects)* Insomnia* Mental confusion* Headache* Delirium* Facial pallor: earliest and most consistent sign.* Anemia: Microcytic Hypochromic* RBC's stippling* Burtonian Line on upper gums* Lead Colic: constipation (or copper)* Lead Palsy (wrist + foot drop)